Commonly used long bone for identification ?
1. Femur
2. Radius
3. Ulna
4. Humerus

Correct answer: 1. Femur

Explanation: Ans. is 'a' i.e., Femur Stature can be calculated from the length of long bones and used for identification. Femur and tibia give more accurate values compared to humerus and radius Stature is determined in dismembered body (skeletal remains) by : Length from the tip of middle finger to the tip of opposite middle finger when arms are fully extended. Twice the length of one arm + 30 cm (of two clavicles) + 4 cm (for the sternum). Humerus length is 1/5th of height. The length from the vertex to the symphysis pubis is half of the total length. The length from the sternal notch to Symphysis pubis x 3.3. The length of forearm measured from tip of middle finger is =5/19 of total length. The height of head measured by the vertical distance from the top of the head (vertex) to the tip of chin = 1/8 of the total length. The length of vertebral column = 34/100 of total length. To the length of entire skeleton, add 2.5 to 4 cm for thickness of the soft parts. As a general rule humerus is 20%, tibia is 22%, femur is 27% and spine is 35% of individual height.